Psychoanalysis was introduced by:
1. Freud
2. Schielder
3. Dale and denicker
4. Eugen bluer

Correct answer: 1. Freud

Explanation: A ref: Ahuja, 4th/e p. 189 and 5th/e p. 211